Eye examination of a person reveals near reflex to be present but light reflex is lost. What is this condition known as?
1. Argyl Robertson pupil
2. Adie Homle's pupil
3. Oculomotor nerve palsy
4. Marcus Gunn pupil

Correct answer: 1. Argyl Robertson pupil

Explanation: Argyll Robertson pupil - Seen in neurosyphilis Bilateral constricted irregular pupils Light reaction is absent and accommodation reflex is present (ARP - Accomodation reflex present and PRA - Pupillary reaction absent) Marcus gunn pupil Seen in optic neuritis Swinging flash light test - light is flashed on one pupil and constriction is noted and than light is moved to the contralateral pupil and response is noted . normally both pupil constrict equally . in unilateral optic nerve disease when light is transferred to the diseased eye both pupils will dilate and on swinging back to normal eye both will constrict Adie Holmes pupil is a tonic pupil seen in young women with vermiform sluggish pupillary constriction not absent pupillary reflex Oculomotor palsy will have the final efferent pathway affected - hence both pupillary and accomodation reflexes will be absent